Which type of visual defects are caused by a tumour of the pituitary gland pressing upon the optic chiasma?
1. Homonymous hemianopia
2. Heteronymous hemianopia
3. Bitemporal hemianopia
4. Binasal hemianopia

Correct answer: 3. Bitemporal hemianopia

Explanation: Damage to Central part of optic chiasma (as may occur from pituitary tumours) interrupt the crossing fibres from nasal half of two retinae and results in bitemporal hemianopiasite and lesions are:Optic nerve- total blindnessOptic tract- homonymous hemianopiaVisual cortex- macular sparingUpper tip of calcarine sulcus- contralateral Inferior quadrantanopiaLower lip of calcarine sulcus- C/L Superior quadrantanopia(Ref: Vishram Singh textbook of clinical neuroanatomy second edition pg 216)